Which of the following is toxic to parasite -
1. Peroxidase
2. Interferon
3. IL-2
4. IL-6

Correct answer: 1. Peroxidase

Explanation: peroxidase is toxic to parasites